Site of fatty acid synthesis -
1. ER
2. Mitochondria
3. Cytosol
4. Microsoma

Correct answer: 3. Cytosol

Explanation: Ans. is 'c' i.e., Cytosol o Has been explained in previous years